Burning sensation in little toe at lateral margin ankle reflex is weak slip disc ?
1. L5-S1
2. L2-L3
3. L1-L2
4. L4-L5

Correct answer: 1. L5-S1

Explanation: HERNIATED DISC B/W COMPRESSED NERVE ROOT DERMATOME AFFECTED MUSCLES AFFECTED MOVEMENT WEAKNESS NERVE AND REFLEX INVOLVED L5 and S1 S1 S1 heel little toe gastrocnemius soleus plantar flexion of ankle (patient cannot stand on toes) flexion of toes tibial nerve | ankle jerk